In prostatic metastasis, the site most commonly involved is -
1. Perivesical nodes
2. Obturator nodes
3. Pre-sacral nodes
4. Paraaortic nodes

Correct answer: 2. Obturator nodes

Explanation: Lymphatic metastases are most often identified in the obturator lymph node chain."-Smith's Most common metastatic sites of prostate carcinoma are lymph nodes & bones Lymphatic metastasis occurs most commonly to - obturator lymph nodes Other lymph nodes involved are common iliac presacral periaortic Also Remember Most common bony metastasis occurs in (in decreasing order) lumbar spine (most common) proximal femur pelvis thoracic spine ribs sternum skull humerus The bone lesions of metastatic CaP are typically osteoblastic. Visceral metastases most commonly involve the lung, liver, and adrenal gland. Ref : Smith's Urology 17/e 359